A 23 year old profession footballer suffered a twisting injury to his right ankle. On examination, there is a lot of swelling around the medial malleolus but x-ray doesn't show any fracture. The structure injured could be
1. Deltoid Ligament
2. Anterior talofibular ligament
3. Spring ligament
4. Tendo Achilles

Correct answer: 1. Deltoid Ligament

Explanation: (Refer: Manish Kumar Varshney's Essential Orthopedics Principles & Practice, 1st edition, pg no. 1265 - 1267)